Differentiation of Neisseria Gonorrhea and Neisseria Meningitides can be done by
1. Glucose fermentation
2. V.P Reaction
3. Maltose fermentation
4. Indole test

Correct answer: 3. Maltose fermentation

Explanation: Gonococci resemble meningococci except that gonococci acidify only glucose, not maltose, but Meningococci acidifies both glucose and maltose. Reference: Textbook of Microbiology; Anathanarayan and panicker's; 10th edition; Page no: 234